Asthenospermia means:
1. Immotile sperms
2. Absent sperms
3. Dead sperms
4. Dysmorphic sperms

Correct answer: 1. Immotile sperms

Explanation: Ans: A (Immotile sperms) Ref: Harrison's 18th edn.Explanation:Azoospermia - Absence of sperm in the ejaculate.Aspermia - Zero volume ejaculate.Oligospermia - Low numbers of sperm.Asthenospermia - Poor sperm motility.Teratospermia - Abnormal morphology (shape) of sperm.